Characteristic feature of carcinoma fallopian tube :
1. Watery discharge P/N
2. Hemorrhage
3. Pain
4. Sepsis

Correct answer: 1. Watery discharge P/N

Explanation: Ans. is a i.e. Watery discharge PN Fallopian Tube Carcinoma accounts for 0.3% of all cancers of female genital tract. *Most common site is the ampulla of the tube Most common type is adenocarcinoma. The fallopian tube is frequently involved in secondary to carcinoma of ovary, endometrium, gastrointestinal tract, breast and peritoneum. Women with mutation in BRCA I and BRCA II have higher risk of developing fallopian tube carcinoma (therefore, a prophylactic surgery in these women should include a complete removal of both tubes along with the ovaries). Most common symptom is Vaginal discharge Went watery vaginal discharge called as Hvdrop, Later due to ulceration - watery discharge becomes blood stained and may take the form of perimenopausal/ postmenopausal bleeding. Always remember : In perimenopausal and postmenopausal women with unusual, unexplained or persistent vaginal discharge, even in absence of bleeding, the clinician should always keep the possibility of occult tubal cancer in mind. Triad of : - Vaginal discharge 1 - Pelvic pain } is seen in 15% of patients - Pelvic mass 1 On examination : pelvic mass may be felt. Spread : Since the fallopian tube is richly supplied by lymphatics, spread to the pelvic and para - aortic nodes occurs early.